The basic pathology of Barrett's esophagus is:
1. Metaplasia of columnar cells to squamous cells
2. Metaplasia of squamous cells to columnar cells
3. Dysplasia of Epithelium
4. Low pressure in Lower sphincter

Correct answer: 2. Metaplasia of squamous cells to columnar cells

Explanation: Ans. (b) Metaplasia of squamous cells to columnar cellsRef: Bailey and Love 26th Edition, Page 1000* Metaplasia of squamous cells to intestinal type of columnar cells is Barret* The biopsy shows Goblet cells: Pathognomonic.